Anencephaly can be diagnosed by USG at –
1. 10–12 weeks of gestation
2. 14–18 weeks of gestation
3. 20–24 weeks of gestation
4. 24–28 weeks of gestation

Correct answer: 1. 10–12 weeks of gestation

Explanation: Anencephaly can be detected as early as 10-11 weeks of pregnancy.